Roseola infantum is caused by ______
1. HHV 5
2. HHV 6
3. Rubella
4. Rubeola

Correct answer: 2. HHV 6

Explanation: Roseola infantum / Exanthem subitum / Sixth disease is caused by HHV 6 or 7.